All of the following are features of Verrill's sign except:
1. Partial ptosis.
2. Tingling sensation.
3. Blurring vision.
4. Slurring speech.

Correct answer: 2. Tingling sensation.

Explanation: The three features of Verrill’s sign are:

Partial ptosis (50%).
Blurring vision
Slurring speech that indicate the correct level after Diazepam sedation